Vitamin K-dependent clotting factors include all the following except -
1. Factor II
2. Factor VIII
3. Factor IX
4. Factor X

Correct answer: 2. Factor VIII

Explanation: Vitamin K acts as a cofactor in the formation of 6 prothrombin complex proteins synthesized in the liver: factor II,VII ,IX ,X ,protein C & protein S.Reference:Harsh mohan textbook of pathology sixth edition pg no 336